Which is a example of antigen - antibody reaction-
1. Flocculation reaction
2. Precipitation
3. Agglutination
4. All of the above

Correct answer: 4. All of the above

Explanation: Ans. is 'd' i.e., All of the above o Important antigen-antibody reactions in laboratory are:-i) Precipitation/Flocculationii) Agglutinationiii) CFTv) Neutrilization reaction